Liposomal amphotericin B has the following advantage over conventional amphotericin B :
1. Lesser nephrotoxicity
2. Lesser cost
3. Absence of infusional toxicity
4. Once a week administration

Correct answer: 1. Lesser nephrotoxicity